Amino acid that is high in root dentin used for age estimation is
1. Tyrosine
2. Serine
3. Aspartic acid
4. Glycine

Correct answer: 3. Aspartic acid